Which is a flow cytometric B cell marker?
1. CD 2
2. CD 3
3. CD 7
4. CD 19

Correct answer: 4. CD 19

Explanation: * B cell markers are CD 19, 20, 21 and 23.* TH cell markers are CD 4, 3, 7, 2* TC cell markers are CD 8, 3, 7, 2* NK cell markers are CD 2, 16, 56